% of HIV infection in child of a HIV +ve mother is-
1. 20-30%
2. 10-20%
3. 70-80%
4. 100%

Correct answer: 1. 20-30%

Explanation: Ans. is 'a' i.e., 20-30%